According to national control programme of cancer, diabetes and heart diseases, all of the following are true EXCEPT:
1. According to WHO, Coronary Heart disease is considered as a modern epidemic i.e., a disease that affects the population, not an unavoidable attribute of ageing.
2. According to the stroke control programme, first priority goes to control of Diabetes, elimination of smoking, prevention and management of other risk factors.
3. Cancer is characterized by group of diseases i.e., abnormal cell growth, ability to invade adjacent tissues, distant organs , eventual death of affected person if tumor has progressed beyond the stage .The DALYs lost world wide due to cancer is 77.812 .
4. Diabetes is an "ice berg" disease . Increase in both prevalence and incidence of type 2 DM globally is associated with industrialization & socio-economic development.

Correct answer: 2. According to the stroke control programme, first priority goes to control of Diabetes, elimination of smoking, prevention and management of other risk factors.

Explanation: Ans.(b) According to the stroke control programme, first priority goes to control of Diabetes, elimination of smoking, prevention and management of other risk factors.Ref.: K. Park 23rd ed. / 472According to the STROKE CONTROL PROGRAMME the first priority goes to control of arterial hypertension which is the major cause of stroke.